Stage of surgical anesthesia during ether administration is
1. Loss of Consciousness
2. failure of circulation
3. Regular respiration to cessation of breathing
4. Loss of Consciousness to beginning of regular respiration

Correct answer: 3. Regular respiration to cessation of breathing

Explanation: Guedel's classification is a means of assessing of depth of general anesthesia introduced by Arthur Ernest Guedel for Ether in1937. Stage I (stage of analgesia or disorientation) Stage II (stage of excitement or delirium) Stage III (stage of surgical anesthesia) plane I to IV Stage IV: from stoppage of respiration till death Stage III (stage of surgical anesthesia): from onset of automatic respiration to respiratory paralysis. It is divided into four planes: Plane I - from onset of automatic respiration to cessation of eyeball movements Plane II - from cessation of eyeball movements to beginning of paralysis of intercostal muscles Plane III - from beginning to completion of intercostal muscle paralysis. Plane IV - from complete intercostal paralysis to diaphragmatic paralysis Ref: Miller's anesthesia 8th edition Ref: Morgan & Mikhail's clinical anesthesiology 6e.